Which of the following organs secretes zinc in man?
1. Seminal vesicle
2. Prostate
3. Epididymis
4. Vas

Correct answer: 2. Prostate

Explanation: B i.e. ProstateMEM Semen:Semen contains sperm and secretions of the seminal vesicles, prostate, cowper's gland and probably, the urethral glands. An average volume ejaculation is 2.5- 3.5mL. Each mL of semen normally contains about 100 m illionQ sperms. 50% of men with counts of 20-40 million /mL and essentially all those with counts < 20 inillion /mL are sterile. Morphologically abnormal & or immotile spermatozoa also correlates with infertility. Human sperm move at a speed of -3mm/ minQ through the female genital tract. Sperms reach uterine tubes 30- 60 minutes after copulation. Composition of human semen